Relation of renal vein with aorta is
1. Anterior, above SMA
2. Anterior, below SMA
3. Anterior, below IMA
4. Posterior, below SMA

Correct answer: 2. Anterior, below SMA

Explanation: Because the inferior vena cava is on the right half of the body, the left renal vein is generally the longer of the two.